Which of the following is not a bronchodilator
1. Beta 2 agonist
2. Methylxanthines
3. Steroids
4. Anticholinergics

Correct answer: 3. Steroids

Explanation: Classification: bronchodilators: beta 2 agonists anticholinergics and methylxanthines like caffeine and theophylline ref KD Tripathi 8th ed